Which of the following nerve is damaged in Frey's syndrome
1. Facial nerve
2. Mandibular nerve
3. Auriculotemporal nerve
4. Trigeminal nerve

Correct answer: 3. Auriculotemporal nerve

Explanation: Frey's Syndrome:(Gustatory Sweating) Characterized by sweating and flushing of the preauricular skin during mastication Auriculotemporal N. branch of the Mandibular N. carries sympathetic fibers that supplies the sweat glands and it also carries the parasympathetic fibers coming from the Glossopharyngeal N. they supply the Parotid gland. During parotidectomy if the nerve gets injured, there is mixing of the fibers during regeneration and the parasympathetic fibers supplying the parotid gland also starts supplying the sweat glands . So whenever the patient eats food the fibers get stimulated and the patient starts sweating while eating food.